Which ATT drug is to be avoided in pregnancy -
1. INH
2. Rifampicin
3. Streptomycin
4. Ethambutol

Correct answer: 3. Streptomycin

Explanation: Ans. is 'c' i.e., Steptomycin o Streptomycin is an aminoglycoside antibiotic contraindicated in pregnancy due to risk of fetal ototoxicity,o Recommended treatment in pregnancy is (2HRZ + 4HR) for 6 months by WHO and British Thoracic Society,o Ethambutol can be added during late but not early pregnancy.o In India, treatment for pregnant women is 2HRE + 7 HR (Total 9 months).